Neurotransmitter which is found in increased qualities in mania is:
1. Noradrenaline
2. Serotonin
3. Acetyl choline
4. GABA

Correct answer: 1. Noradrenaline

Explanation: According to norepinephrine hypothesis of affective illness, the bipolar disorder is related with the availability of norepinephrine at synaptic sites. Norepinephrine is less available in synapses in depressive patients but it is abundant in maniac patients. Hypothyroidism is very common in patients with bipolar disorder. Ref: Loosen P.T., Shelton R.C. (2008). Chapter 18. Mood Disorders. In M.H. Ebe, P.T. Loosen, B. Nurcombe, J.F. Leckman (Eds), CURRENT Diagnosis & Treatment: Psychiatry, 2e.